The drug imatinib acts by the inhibition of:
1. Tyrosine kinase
2. Glutathione reductase
3. Thymidylate synthetase
4. Protein kinase

Correct answer: 1. Tyrosine kinase

Explanation: lmatinib :This novel antineoplastic drug inhibits the tyrosine protein kinases in chronic myeloid leukaemia (CML) cells and the ones that are activated by platelet derived growth factor (PDGF) receptor, stem cell receptor and c-kit receptor found in gastrointestinal stromal tumour (GIST), a rare tumour. Stricking success has been obtained in chronic phase of CML as well as in accelerated phase, and in metastatic kit-positive GIST. Adverse effects are fluid retention, edema, vomiting, abdominal pain, myalgia and liver damage. Dose: 400 mg/day with meal; accelerated phase of CML, ESSENTIALS OF MEDICAL PHARMACOLOGY K.D.TRIPATHI SIXTH EDITION PAGE NO:828